Vitamin deficiency causing circumcorneal vascularization is:
1. Biotin
2. Riboflavin
3. Thiamine
4. Vitamin D

Correct answer: 2. Riboflavin

Explanation: Ans. B. RiboflavinPrincipal Clinical Findings of Vitamin MalnutritionNutrientClinical findingThiaminePeripheral nerve damage (beriberi) or central nervous system lesions (Wernicke-Korsakoff syndrome)RiboflavinMagenta tongue, angular stomatitis, cheilosis, seborrheic dermatitis, circumcorneal VascularisationNiacinPellagra: pigmented rash of sun-exposed areas (photosensitive dermatitis), bright red tongue, diarrhea, apathy, memory loss, disorientation, depressive psychosisVitamin B6 Seborrhea, glossitis, convulsions, neuropathy, depression, confusion, microcytic anemiaFolateMegaloblastic anemia, atrophic glossitis, depression, homocysteineVitamin B12 Pernicious anemia = megaloblastic anemia with degeneration of the spinal cord, loss of vibratory and position sense, abnormal gait, dementiaQ, impotence, loss of bladder and bowel control, homocysteine, methyl malonic acidPantothenic AcidPeripheral nerve damage (nutritional melalgia or "burning foot syndrome")Vitamin CScurvy: petechiae, ecchymosis, coiled hairs, inflamed and bleeding gums, joint effusion, poor wound healing, fatigueVitamin AXerophthalmia, night blindness, Bitot's spots, follicular hyperkeratosis, impaired embryonic development, immune dysfunctionVitamin DRickets: skeletal deformation, rachitic rosary, bowed legs; osteomalaciaVitamin EPeripheral neuropathy, spinocerebellar ataxia, skeletal muscle atrophy, retinopathyVitamin KElevated prothrombin time, bleeding